Protein-losing enteropathy is seen in
1. TOF
2. HOCM
3. Chronic pericarditis
4. Dilated cardiomyopathy

Correct answer: 3. Chronic pericarditis

Explanation: Patients who appear to have idiopathic protein-losing enteropathy without evidence of gastrointestinal disease should be examined for cardiac disease--especially right-sided valvular disease and chronic pericarditisRef: Harrison's Principles of Internal Medicine; 19th edition; CHAPTER 349 Disorders of Absorption